Acrodermatitis enteropathica is
1. Inherited disorder of impaired uptake of zinc from body
2. Inherited disorder of excessive excretion of zinc from body
3. Inherited disorder of excessive excretion of copper from body
4. Inherited disorder of impaired uptake of copper from body

Correct answer: 1. Inherited disorder of impaired uptake of zinc from body